Pawlik's grip is done in obstetrics for assessment of
1. Gestational age
2. Fetal maturity
3. Presenting part
4. Labour

Correct answer: 3. Presenting part

Explanation: (C) Presenting part